Shrinking Lung Syndrome is seen in:
1. SLE
2. Rheumatoid Arthritis
3. Scleroderma
4. Sarcoidosis

Correct answer: 1. SLE

Explanation: Shrinking lung syndrome refers to a condition typical of SLE that consists of a purely restrictive respiratory disease with normal lung parenchyma and markedly decreased lung volumes. Shrinking lung syndrome Shrinking lung syndrome refers to a condition typical of SLE that consists of a purely restrictive respiratory disease with normal lung parenchyma and markedly decreased lung volumes Pathogentic Mechanism Diaphragmatic dysfunction has been advocated as the main pathogenetic mechanism of shrinking lung syndrome Clinical Presentation Shrinking lung syndrome usually manifests as exertional dyspnea of variable severity, which can progress over a period of weeks or months. (Orthopnea attributed to diaphragmatic weakness may also occur). Pleuritic chest pain is reported frequently, and a previous history of pleurisy and pericarditis is common. Physical examination is remarkably normal. Investigations Chest radiography typically shows elevated hemi-diaphragms, although this is not a universal finding and its absence does not exclude the diagnosis. Pleural effusions, Pleural thickening, and atelectasis may be also evident on plain films or CT scans. Pulmonary function tests show a marked restrictive pattern, with decreased forced vital capacity (FVC). Carbon monoxide diffusion corrected by lung volumes is typically normal. Anti-Ro antibodies may be present. REF: Harrison book of internal medicine 21ST EDITION